You have treated the simple and undisplaced fracture of shaft of right tibia in a nine year girl with above knee plaster cast. Parents want to know the prognosis of union of the fractured limb which was affected by polimoyelitis four years age. What is the bet possible advice will you offer to the parents ?
1. Fracture will unite slowly
2. Fracture will not unite
3. Fracture will unite normally
4. Fracture will unite on attaining puberty

Correct answer: 3. Fracture will unite normally

Explanation: "There is no significant delay in the rate of fracture healing in poliomyelitis".  — Skeletal injury in children